Drug of choice for thyroid storm is:
1. Thiocayanates
2. Perchlorates
3. Propylthiouracil
4. Radioactive iodine

Correct answer: 3. Propylthiouracil

Explanation: Ans. C: Propylthiouracil Propylthiouracil is used in thyroid storm for its inhibitory action on peripheral conversion of T4 to more active T3. It is also used in patients developing adverse effects with carbimazole.